"Eye of the Tiger" appearance in MRI is seen in
1. Wilsons disease
2. Neuronal accumulation of iron
3. Alzheimer's
4. Hallervorden-Spatz syndrome

Correct answer: 4. Hallervorden-Spatz syndrome

Explanation: (D) Hallervorden-Spatz syndrome # Eye of the Tiger Sign refers to abnormal low T2 signal (due to abnormal accumulation of iron) on MRI in the globus pallidus with a longitudinal stripe of high signal (due to gliosis & spongiosis) that can be seen in:> Hallervorden-Spatz syndrome: Classical but not 100% pathognomonic. Progressive supranuclear palsy Early-onset levodopa-responsive parkinsonism Corticobasal ganglionic degeneration